Average duration of function of primary dentition
1. 6 years
2. 8 years
3. 10 years
4. 12 years

Correct answer: 1. 6 years

Explanation: Average duration of function of primary dentition is 6 yrs while maximum duration is 10 years.